An elderly person was found unconscious following a RTA. Patient was deeply comatose with decerebrate and decorticate rigidity. MRI shows small hemorrhages on corpus callosum and nothing else. Person dies after a week in coma. Most likely cause of death:
1. Diffuse axonal injury
2. Subdural hematoma
3. EDH
4. Infarct

Correct answer: 1. Diffuse axonal injury

Explanation: Diffuse Axonal Injuries: Classic findings- Unconscious after RTA + comatose patient with decerebrate and decorticate rigidity + CT scan appears normal. - IOC: MRI: Punctate haemorrhages Subdural hematoma or EDH: IOC - NCCT Infarct can be visualised in both CT and MRI